Which of the following adverse effect of levodopa is not blocked by carbidopa?
1. Vomiting
2. Hypotension
3. Psychosis
4. Tachycardia

Correct answer: 3. Psychosis

Explanation: Levodopa - CARBIDOPA / BENSERAZIDE: Peripheral DOPA decarboxylase inhibitors. - So peripheral adverse effects will decrease - More L-DOPA will enter the brain and efficacy will increase The adverse effects are more due to deposition of DOPA in the brain. DOPA deposition leads to psychosis i.e. abnormal behaviour and dyskinesia. These effects cannot be decreased by carbidopa.